Intralobar sequestration of lung is commonest in the ?
1. Apical segment of upper lobe
2. Medial segment of middle lobe
3. Lateral basal segmentof lower lobe
4. Posterior basal segment of lower lobe

Correct answer: 4. Posterior basal segment of lower lobe

Explanation: Ans. is 'd' i.e., Posterior basal segment of lower lobe